A 29-year-old man complains of back pain for several months. It takes him over 2 hours to limber up in the morning. His x-ray is shown in Figure given below. Which of the following is the most likely diagnosis?
1. RA
2. spondylolisthesis
3. osteomalacia
4. ankylosing spondylitis

Correct answer: 4. ankylosing spondylitis

Explanation: The x-ray reveals typical evidence of sacroiliitis, with widening of the joints, sclerosis, and evasions. Similar findings can be seen in psoriatic and enteropathic spondyloarthropathy.